Caplan Syndrome is Pneumoconiosis with
1. Lymphadenopathy
2. Congestive Cardiac Failure
3. Rheumatoid Arthritis
4. HIV

Correct answer: 3. Rheumatoid Arthritis

Explanation: Answer is C (Rheumatoid Arthritis): Caplan's syndrome refers to the association of Pneumoconiosis and Rheumatoid Arthritis. Caplan's Syndrome is a rare subset of pulmonary nodulosis characterized by the development of nodules and pneumoconiosis following silica exposure in patients with Rheumatoid Arthritis. Caplan's Syndrome first described in coal miners but subsequently found in patients with silicosis includes seropositive Rheumatoid arthritis with charachteristic pneumoconiotic nodules. Silica has immunoadjuvant properties and is often present in anthractic coal dust.